Reacts with soadaline
1. Methoxyfluene
2. Ketamine
3. Trilene
4. All

Correct answer: 3. Trilene

Explanation: C i.e. Trilene